Which muscle has fibers that enter the articular disc and capsule?
1. Medial pterygoid
2. Buccinator
3. Temporalis
4. Lateral pterygoid

Correct answer: 4. Lateral pterygoid

Explanation: Only the lateral pterygoid enters the temporomandibular joint (TMJ). Its fibers join the articular disc and capsule.